In 'V'-Exotropia amount of deviation:
1. Increases in upward gaze and decreases in down gaze
2. Decreases in upward gaze and increases in down gaze
3. Increases in upward as well as downward gaze
4. Decreases in upward as well as downward gaze

Correct answer: 1. Increases in upward gaze and decreases in down gaze

Explanation: Ans. Increases in upward gaze and decreases in down gaze